All the following are Heterophile agglutination tests except
1. Paul Bunnell test
2. Weil felix reaction
3. Cold agglutination test
4. Widal test

Correct answer: 4. Widal test

Explanation: Widal test is just a agglutination test.